Golf ball inclusion bodies in RBCs are seen in?
1. Normal reticulocytes
2. HbH disease
3. Pernicious anaemia
4. G6PD deficiency

Correct answer: 2. HbH disease

Explanation: Golf ball inclusion bodies are known as HbH bodies and are seen in alpha thalassemia. The peripheral smear stained with supravital stain brilliant cresyl blue shows multiple inclusions in an evenly distributed panel. Reticulocytes are differentiated from these RBCs with inclusions as they have uneven reticulin deposits. Heinz bodies are larger, single inclusions and not so numerous as Howell jolly bodies. Extra edge- Howell-Jolly bodies :Dense blue circular inclusions that represent nuclear remnants. Their presence implies defective splenic function. seen in : Post-splenectomy Hemolytic anemia Megaloblastic anemia